All of the following is true about “Imiquimod” except:
1. Direct antiviral activity
2. Indirect antiviral activity
3. Antitumor activity
4. It releases cytokines

Correct answer: 1. Direct antiviral activity

Explanation: Mechanism of Action 
The probable mechanism in treating actinic keratosis and external genital warts is, it is a immune response modifier, stimulates the release of inflammatory cytokines and proliferation/migration of immune cells.
No direct antiviral activity.